The ratio of chest compression to breathing in neonatal life support is?
1. 3:01
2. 4:01
3. 5:01
4. 6:01

Correct answer: 1. 3:01

Explanation: Ans. (a) 3:1Ghai 7th/691-2Sternum should be compressed to depress approximately one third to one half of the anteroposterior diameter of the chest. Chest compression should be delivered providing equal time in compression and relaxation phases.